All of the following are used in Bronchial Asthma, Except:
1. Salbutamol
2. Aminophylline
3. Steroids
4. Morphine

Correct answer: 4. Morphine

Explanation: Answer is D (Morphine): Morphine is not used in the treatment of Bronchial Asthma. Bronchodilators (Salbutamol; Aminophylline) and Corticosteroids (Systemic/inhalational)form the mainstay for treatment of Bronchial Asthma